Most common cause of unilateral parotid swelling in a 27 yr old male is -
1. Warthins tumor
2. Pleomorphic adenoma
3. Adenocarcinoma
4. Haemangioma

Correct answer: 2. Pleomorphic adenoma